Hiatus semilunaris is present in -
1. Superior meatus
2. Middle meatus
3. Inferior meatus
4. sphenoethmoidal recess

Correct answer: 2. Middle meatus

Explanation: Important structures of middle meatus are :-


Hiatus semilunaris, 
Ethmoidal infundibulum,
Anterior & posterior fontanelle,
Uncinate process,
Bulla ethmoidalis.